In adults, spinal cord normally ends at
1. Lower border of L1
2. Lower border of L3
3. Lower border of L5
4. Lower border of S1

Correct answer: 1. Lower border of L1

Explanation: The spinal cord extends upto the level of 2nd lumbar vertebra as conus medullaris.Below the level of conus medullaris only piamater is continued as a thin fibrous cord,the filum terminale. REF.BDC VOL.3 Fifth edition